Meissner's corpuscle are for
1. Touch
2. Temperature
3. Pressure
4. Proprioception

Correct answer: 1. Touch

Explanation: Touch receptors
-        For superficial touch- Meissner’s corpuscles & Merkel’s disc (Rapidly adapting)
-        For pressure (Deep touch)- Ruffini’s end organ (slowly adapting)
-        For vibrations- Pacinian corpuscle (rapidly adapting)